Triangle of Koch is not formed by
1. Limbus of Fossa ovalis
2. Tendon of Todaro
3. Coronary sinus
4. Septal Cusp of Tricuspid valve

Correct answer: 1. Limbus of Fossa ovalis

Explanation: Triangle of Koch is formed by

Tendon of Todaro
Coronary sinus
Septal Cusp of Tricuspid valve